All are true regarding treatment of Guillain-Barre syndrome EXCEPT:
1. Corticosteroid used for early recovery and prevent long stay
2. High-dose intravenous immune globulin (IVIg) can be initiated
3. Plasmapheresis can be done
4. High-dose intravenous immune globulin (IVIg) and plasmapheresis are equally effective

Correct answer: 1. Corticosteroid used for early recovery and prevent long stay

Explanation: Corticosteroid used for early recovery and prevent long stay REF: Harrison's 17th ed chapter 380 In the vast majority of patients with GBS, treatment should be initiated as soon after diagnosis as possible. Each day counts; -2 weeks after the first motor symptoms, immunotherapy is no longer effective. Either high-dose intravenous immune globulin (IVIg) or plasmapheresis can be initiated, as they are equally effective. A combination of the two therapies is not significantly better than either alone. Glucocorticoids have not been found to be effective in GBS. Occasional patients with very mild forms of GBS, especially those who appear to have already reached a plateau when initially seen, may be managed conservatively without IVIg or PE.